The largest bursa in the body is:
1. Prepatellar bursa
2. Infrapatellar bursa
3. Subacromial bursa
4. Trochanteric bursa

Correct answer: 3. Subacromial bursa

Explanation: Ans C Subacromial bursaRef: Kulkarni Clinical Anatomy, 2nd ed. pg. 48The subacromial bursa is the largest bursa of the body